RBC transketolase deficiency is seen in
1. Thiamine deficiency
2. Folic acid deficiency
3. Anaemia
4. Vitamin B12 deficiency

Correct answer: 1. Thiamine deficiency

Explanation: (A) Thiamine deficiency# TRANSKETOLASE is an enzyme of both the pentose phosphate pathway.> Transketolase activity is decreased in deficiency of thiamine, which in general is due to malnutrition. Two diseases are associated with thiamine deficiency: beriberi and Wernicke-Korsakoff syndrome.> Red blood cell transketolase activity is used in the diagnosis of Wernicke's encephalopathy and other B1-deficiency syndromes if the diagnosis is in doubt.